Most common type of twin pregnancy is :
1. Vertex + transverse
2. Both vertex
3. Vertex + breech
4. Both breech

Correct answer: 2. Both vertex

Explanation: Ans. is b i.e. Both vertex In twins most common lie of both the fetus at term is longitudinal.deg Rarest lie is both the twins transverse.deg Presentations : Both vertex (Most common) 60% Vertex (1st) - Breech (1Ind) 20% Breech (1st) - Vertex (11nd) 10% Both Breech 8 - 10% Note : Interlocking of twins is a rare complication seen in twins with 1st Breech presentation and Ind vertex presentation.